Complement components are ?
1. Lipoproteins
2. Glycoproteins
3. Polysaccharides
4. Lipid

Correct answer: 2. Glycoproteins

Explanation: Ans. is 'b' i.e., Glycoproteins The proteins and glycoprotiens that constitute the complement system are synthesized by hepatocytes" -- Internet "Most of the complement glycoproteins are synthesized predominantly by the liver, but macrophages and many other cell types are also sources of various complement components" - Medical immunology "Complement components are glycoproteins" -- Textbook of Human Blood Plasma Protiens